The most common site of brain metastasis is
1. Cerebrum
2. Cerebellum
3. Medulla oblongata
4. Pons

Correct answer: 1. Cerebrum

Explanation: MC site of brain metastases (85%) CEREBRUM2nd MC site of brain metastases- CEREBELLUM LUNG, BREAST, MELANOMA (SKIN CANCER), COLON AND KIDNEY cancers commonly spread to the brain.(Refer: Nelson's Textbook of Pediatrics, SAE, 1st edition, pg no. 2460)